Swan neck deformity is:
1. Hyperextension at DIP, Flexion of PIP
2. Extension of DIP, Hyperflexion at PIP
3. Extension of both DIP & PIP
4. Flexion at DIP, Hyperextension at PIP

Correct answer: 4. Flexion at DIP, Hyperextension at PIP

Explanation: Deformities of RA - Swan Neck Deformity - Flexion at DIP and hypertension at PIP - Flexor insufficiency of PIP - Boutonniere deformity / Button hole deformity - Extensor deficiency at PIP joint - Hypertension of DIP & Flexion of PIP - Z deformity of thumb - Ulnar deviation of fingers Z-deformity of thumb